Which of the following structure passes through Guyon's canal:-
1. Flexor carpi radialis
2. Radial nerve
3. Ulnar nerve
4. Median nerve

Correct answer: 3. Ulnar nerve

Explanation: RELATIONS OF ULNAR NERVE: (I) pisiform bone (laterally) (ii)hook of hamate passes superficial to flexor retinaculum. Handle bar injury causes the compression of ulnar nerve in Guyon's canal SYMPTOMS: tingling sensation of skin over medial 1 and 1/2 fingers.